Which of the following physiological change can occur when there is vagal stimulation of heart?
1. Increased R-R interval
2. Increased heart rate
3. Increased cardiac output
4. Increased force of contraction

Correct answer: 1. Increased R-R interval

Explanation: Stimulation of parasympathetic (vagus) fibers causes decrease in the heart rate (increased R-R interval), reduce the force of contraction, and constrict the coronary arteries. Stimulation of sympathetic nerves increases heart rate (decreased RR interval). Ref: Morton D.A., Foreman K.B., Albertine K.H. (2011). Chapter 4. Heart. In D.A. Morton, K.B. Foreman, K.H. Albertine (Eds), The Big Picture: Gross Anatomy.